MYD88 L265P mutation is seen in
1. Waldenstrom macroglobulinemia
2. Multiple myeloma
3. Burkitts lymphoma
4. B cell disorders

Correct answer: 1. Waldenstrom macroglobulinemia

Explanation: Ans. A. Waldenstrom macroglobulinemiaExplanationMYD88L 265P is expressed in 90 to 95% of WM cases when more sensitive allele-specific PCR has been employed.Waldenstrom's macroglobulinemia (WM):It is a IgM-secreting lymphoplasmacytic lymphoma (LPL).Clinical manifestations:Cytopenia resulting from bone marrow infiltration by lymphoplasmacytic cells,Paraprotein-related cryoglobulinemia,The cold agglutinin syndrome,Demyelinating neuropathySymptomatic hyperviscosity.Oncogenic basis: not been defined.Familial clustering of Waldenstrom's macroglobulinemia and other B-cell disorders suggests that genetic factors play a role in certain patients.IgM monoclonal gammopathy of unknown significance (MGUS) is characterized by the presence of a monoclonal IgM protein and the absence of bone marrow disease involvement on histologic examination. IgM MGUS can progress to Waldenstrom's macroglobulinemia or other B-cell lymphoproliferative disordersMYD88 L265P is a commonly recurring mutation in patients with Waldenstrom's macroglobulinemia that can be useful in differentiating Waldenstrom's macroglobulinemia and non-IgM LPL from B-cell disorders that have some of the same features.